Opsoclonus is associated with:
1. Neuroblastoma
2. Nephroblastoma
3. Retinoblastoma
4. Hypernephroma

Correct answer: 1. Neuroblastoma

Explanation: Opsoclonus-myoclonus-ataxia syndrome' associated with Neuroblastoma Rapid, uncontrollable jerking eye & body movements, poor coordination